The smell of bitter almonds is seen in poisoning with
1. Phosphorus
2. Hydrocyanic acid
3. Nitric acid
4. Oxalic acid

Correct answer: 2. Hydrocyanic acid

Explanation: Cyanide sometimes is described as having a "bitter almond" smell Garlic odor: Thallium Organophosphate Toxicity Arsenic Poisoning Dimethyl Sulfoxide Sulfur Mustard Phosphite Ref: Krishan Vij textbook of forensic medicine, 5th edition pg : 554